Testicular descent is controlled in part by
1. Insulin like factor 3(INL 3)
2. RANKL
3. FSH
4. LH

Correct answer: 1. Insulin like factor 3(INL 3)

Explanation: Testicular descent through the inguinal canal is controlled in part by Leydig cell production of insulin-like factor 3 (INSL3), which acts a receptor termed GREAT ( G protein-coupled receptor affecting testis descent). Ref Harrison 20th edi page no 2769